An eight years old child is suffering from transient synovitis of the hip joint. Which of the following statement is false
1. May follow upper respiratory tract infection
2. WBC count and ESR are usually normal.
3. The hip is typically held in adduction and internal rotation
4. Widening of joint space will be seen on ultrasound.

Correct answer: 3. The hip is typically held in adduction and internal rotation

Explanation: Ans. C. The hip is typically held in adduction and internal rotationIn any type of synovitis, the joint will be held in flexion, abduction and external rotation because in this position joint capacity is maximum causing least pain (Minimal stretching of capsule)